Long-standing obstruction due to enlarged tonsils and adenoids can cause:
1. Lett ventricular hypertrophy
2. Bundle branch block
3. Cor pulmonale
4. Cardiac ischaemia

Correct answer: 3. Cor pulmonale

Explanation: Right ventricular hypertrophy and cor pulmonale are seen in long-standing tonsil and adenoid obstruction. It is reversible after adenotonsi llectomy.